High prevalence/infection affecting the all age group called
1. Hyper endemic
2. Epidemic
3. Pandemic
4. Endemic

Correct answer: 1. Hyper endemic

Explanation: (Hyperendemic): (90- Park 22nd/edition)Hyperendemic - expresses that the disease is constantly present at a high incidence and /or prevalence rate and affects all age groups equallyHoloendemic - a high level of infection beginning early in life and affecting most of the child populationPandemic - usually affecting a large proportion of the population occurring over a wide geographic area such as a section of a nation, the entire nation, a continent or the world eg. Influenza pancemics, cholera El T or, and acute haemorrhagic conjunctivitisEndemic - is unusual occurance in a community or region of disease clearly in excess of expected occurence